All the following are passive tooth borne functional
appliances except
1. Andersen activator
2. Woodside and Hawley activator
3. Expansion activator
4. Herbst appliance

Correct answer: 3. Expansion activator